Which of the following is a prokinetic drug with no dopamine antagonism:
1. Chlorpromazine
2. Metaclopramide
3. Domperidone
4. Mosapride

Correct answer: 4. Mosapride

Explanation: Ans. D: Mosapride Metoclopramide is a dopaminergic antagonist and peripheral serotonin receptor antagonist with GI and CNS effects Cisapride is chemically related to metoclopramide, but unlike metoclopramide, it does not cross the blood-brain barrier or doesn't have antidopaminergic effects. Therefore, it does not have antiemetic action or cause extrapyramidal effects (extreme CNS stimulation). Mosapride is a new congener of cisapride with similar gastrokinetic and LES tonic action due to 5-HT4 agonistic (major) and 5-HT3 antagonistic (minor) action in the myenteric plexus, but has not caused Q-Tc prolongation or arrhythmias. Like cisapride, it has no clinically useful antiemetic action and does not produce extrapyramidal/hyperprolactinemic side effects due to absence of D2 blocking property. Domperidone is a peripheral dopamine receptor antagonist